Average no. of girls that would be born to a woman if she experiences the current fertility pattern throughout her reproductive span (15-44 or 49 years), assuming no mortality known as:-
1. Net reproduction rate
2. Gross reproduction rate
3. Total marital fertility rate
4. Total fertility rate

Correct answer: 2. Gross reproduction rate

Explanation: Term Definition Net reproduction rate Total No. of girl children born to a female, taking into account their mortality. Gross reproduction rate Total no. of girl children born to a woman if she experiences the current fertility pattern throughout her reproductive span (15-44 or 49 years), assuming no mortality Total marital fertility rate Total no. of children that would be born to a married woman if she experiences the current fertility pattern throughout her reproductive span Total fertility rate Total no.of children born to each woman if she were to live to the end of her child-bearing years and give birth to children in alignment with the prevailing age-specificfertility rates.